Closed pinning techinque in oopedic surgeries is not done in
1. Neck of humerus fracture
2. Shaft of humerus fracture
3. Distal radius fracture
4. Supracondylar fracture of humerus

Correct answer: 2. Shaft of humerus fracture

Explanation: The technique of percutaneous pinning and and casts seems capable of restoring joint function for simple extra articular and intra articular fractures above image showed shaft of humerus fracture fixed with plate and pin fixation . not pin fixation alone ref : maheswari 9th ed